In ultrasound machines, the principle is:
1. Piezo electric crysial excitation
2. Very low frequency radiowaves
3. Microwaves
4. None of the above

Correct answer: 1. Piezo electric crysial excitation

Explanation: Ans. Piezo electric crysial excitation